The triad of "saturnine" gout, hypertension and renal insufficiency seen in poisoning with which of the following metals?
1. Arsenic
2. Lead
3. Copper
4. Iron

Correct answer: 2. Lead

Explanation: Heavy metals like cadmium and lead can lead to chronic tubulointerstitial disease. It is usually not commonly diagnosed. This leads to proximal tubular damage and hyperuricemia due to diminished urate excretion. The above mentioned triad should prompt a clinician to ask specifically about lead exposure. Lead chelation therapy can slow the disease progression.